Raised beta-HCG levels are seen in :
1. DM
2. Preeclampsia
3. Ectopic pregnancy
4. Rh. Incompatibility

Correct answer: 4. Rh. Incompatibility

Explanation: Ans. is d Rh incompatibility hCG levels : Increased Decreased M Multiple fetusesdeg R Rh incompatibilitydeg D Down syndrome deg C Choriocarcinomadeg H Hydatidiform moledeg Ectopic pregnancydeg _Impending spontaneous aboiondeg Mnemonic: MR. DCH